A prokinetic drug which lacks D2 receptor antagonistic action is which one of the following?
1. Metoclopramide
2. Domperidone
3. Cisapride
4. Chlorpromazine

Correct answer: 3. Cisapride

Explanation: Ans. is 'c' i.e., Cisapride o Cisapride has 5-HT4 agonistic activity (without any D2 blocking activity).